The part of urinary bladder that shows non-keratinizing squamous metaplasia in adult females?
1. Anterior wall
2. Urethral orifice
3. Trigone
4. Ureteral orifice

Correct answer: 3. Trigone

Explanation: Ans. c (Trigone) (Ref. Smith's urology, p. 266)Nonkeratinizing squamous metaplasia (Trigonitis) is the squamous metaplastic changes that occur in the trigone of the bladder, almost exclusively in women of childbearing age (almost nonexistent in children).Trigonal nonkeratinizing squamous metaplasia# The trigone of the bladder (as well as the ureters) are embryologically derived from the mesonephric duct primordial.# Mucosal lining, with the exception of trigone, is rugose in undistended organ but smoothens as filling proceeds.# Normally, trigone is covered in relatively impermeable transitional epithelium. In young females, there may be an overgrowth of squamous vaginal-type epithelium, often referred to as trigonitis. Trigonitis is incorrect terminology because no associated inflammatory reaction exists, and this condition is referred to more properly as trigonal nonkeratinizing squamous metaplasia.# The keratinizing variant frequently is associated with chronic irritation secondary to indwelling instrumentation, calculi, or, in endemic areas, Schistosoma haematobium infection.